In contaminated liquor poisoning, all of the following are true, except:
1. Metabolic alkalosis
2. Blindness
3. Treatment is with ethanol
4. Toxicity is due to methanol

Correct answer: 1. Metabolic alkalosis

Explanation: Ans. Metabolic alkalosis